All are included in the criteria for diagnosis of systemic lupus erythematosus, except:
1. Photosensitivity
2. Malar rash
3. Discoid rash
4. Painful oral ulcers

Correct answer: 4. Painful oral ulcers

Explanation: SLE produce painless oral ulcers.